Which of the following drugs acts on trabecular meshwork and affects the aquatic outflow
1. Timolol
2. Pilocarpine
3. Brimonidine
4. Brinzolamide

Correct answer: 2. Pilocarpine

Explanation: Miotics-like pilocarpine act by increasing the trabecular outflow. Drugs for Glaucoma- Mechanism of Action Brimonidine- Reducing aqueous production and Latanoprost- Increasing uveoscleral flow . Pilocarpine-Increase the trabecular outflow Betaxolol-Reduces aqueous secretion by cilary body Ref-KDT 6/e p145